Eonism is :
1. Desire to identify with the opposite sex
2. Intercourse with a lower animal
3. Female homosexualism
4. Oral sex

Correct answer: 1. Desire to identify with the opposite sex

Explanation: A i.e. Desire to be identified with opposite sex